A 28 year old female presents with recurrent abortions and pain the calves. She is most likely suffering from a deficiency of which of the following -
1. Protein C
2. Thrombin
3. Factor XIII
4. Plasmin

Correct answer: 1. Protein C

Explanation: . Protein C